Spanish windlass technique is a
1. Neck compression with a ligature tightened by twisting the rod
2. Neck compression with stick
3. Neck compression with forearm
4. Neck compression with hands

Correct answer: 1. Neck compression with a ligature tightened by twisting the rod

Explanation: Spanish windlass technique Strangulation is caused by compression of the neck by a ligature which is quickly tightened by twisting it with a lever (rod, stick or ruler) It results in sudden loss of consciousness and collapse Form of garroting Q***